Does not affect prognosis in acute pancreatitis -
1. Leucocytosis > 19000
2. Amylase > 8000IU
3. Albumin <3.2 gm/dl
4. Age > 60 yrs.

Correct answer: 2. Amylase > 8000IU